Phossy jaw is seen in:
1. Poisoning of copper
2. Poisoning of phosphorus
3. Poisoning of lead
4. Poisoning of arsenic

Correct answer: 2. Poisoning of phosphorus

Explanation: Poisoning of phosphorus